A 16 year old male is referred by high school coach for a physical examination before joining the football team. His elder brother had died suddenly during football practise, no autopsy was done. The patient has a loud systolic murmur on chest auscultation. All of the following would be constant with hypertrophic cardiomyopathy, EXCEPT
1. A crescendo-decrescendo systolic murmur
2. Murmur radiating to neck
3. Brisk carotid upstroke
4. Increase in murmur during valsalva or standing

Correct answer: 2. Murmur radiating to neck